Increased Ca, decreased PO4. Diagnosi-
1. Primary hyperparathyroidism
2. Secondary hyperparathyroidism due to Vit D deficiency
3. Malignancy
4. Osteoporosis

Correct answer: 1. Primary hyperparathyroidism